All of the following are ganglion blockers, except
1. Hexamethonium
2. Tropicamide
3. Trimethaphan
4. Mecamylamine

Correct answer: 2. Tropicamide

Explanation: Tropicamide is a muscarine receptor antagonist used for ophthalmological examination.
Rest three are nicotine receptor antagonists (Nm) which are "Ganglion blockers".